Untrue about articular cartilage is
1. Covers the articular surfaces of all synovial joints
2. Is of hyaline variety in all synovial joints
3. No ossification with age
4. Is devoid of nerves, vessels and perichondrium

Correct answer: 2. Is of hyaline variety in all synovial joints

Explanation: In synovial joints (like temporomandibular and sternoclavicular) the articular surfaces are lined by fibrocartilage instead of hyaline cartilage.